One of the following opens into middle meatus of nose
1. Naso-lacrimal duct
2. Eustachian tube
3. Sphenoidal sinus
4. Maxillary sinus

Correct answer: 4. Maxillary sinus

Explanation: The middle meatus presents the ethmoidal bulla,the hiatus semilunaris,the infundibulum and the opening of frontal,maxillary and the middle ethmoidal air sinuses.Sphenoidal air sinus opens into the sphenoethmoidal recess,which is a triangular fossa just above the superior concha. REF.BDC VOL.3,5th edition.